Effective use of dental floss can be expected to:
1. Significantly reduce caries activity
2. Improve gingival health
3. Restrict plaque development
4. Effectively alter the oral environment

Correct answer: 2. Improve gingival health